The oxygen hemoglobin dissociation curve is sigmoid because
1. Binding of one oxygen molecule increases the affinity of binding other O2 molecules
2. Binding of one oxygen molecule decrease the affinity of binding other O2 molecules
3. Oxygen affinity of Hemoglobin decreases when the pH of blood falls
4. Binding of oxygen to hemoglobin reduces the affinity of Hb for CO2

Correct answer: 1. Binding of one oxygen molecule increases the affinity of binding other O2 molecules

Explanation: Co-operativity- Hb is a tetramer. If one molecule of O2 binds to the tetramer more easily if another O2 is already bound. Since it is most difficult for the first molecule of O2 to bind to Hb, the shape becomes sigmoid.